The following diseases can cause Bullous lesions in the skin except:
1. Pemphigus
2. Impetigo
3. Toxic epidermal necrolysis
4. Pityriasis rosea

Correct answer: 4. Pityriasis rosea

Explanation: (D) Pityriasis rosea # PITYRIASIS ROSEA is a skin rash.> It is benign but may inflict substantial discomfort in certain cases.> Classically, it begins with a single "herald patch" lesion, followed in 1 or 2 weeks by a generalized body rash lasting up to 12 weeks, however usually around 6-8.> A single, 2- to (rarely) 10-cm oval red "herald" patch appears, classically on the abdomen.> Occasionally, the "herald" patch may occur in a 'hidden' position (in the armpit, for example) and not be noticed immediately.> "Herald" patch may also appear as a cluster of smaller oval spots, and be mistaken for acne. Rarely, it does not become present at all.> 7-14 days after the herald patch, many small (5-10 mm) patches of pink or red, flaky, oval-shaped rash appear on the torso. In 6% of cases an inverse distribution may occur, with rash mostly on the extremities.> More numerous oval patches generally spread widely across the chest first, following the rib-line in a characteristic "Christmas- tree" distribution.> Small, circular patches may appear on the back and neck several days later.> It is unusual for lesions to form on the face, but they may appear on the cheeks or at the hairline